A 3 cm squamous cell carcinoma of the retrornolar trigone and invading the mandible and the medial pterygoid muscle is at what TNM stage:
1. Stage I
2. Stage II
3. Stage III
4. Stage IV

Correct answer: 4. Stage IV